Stain specific for DNA staining is
1. Feulgen
2. Malchite green
3. Crystal violet
4. Nigrosin

Correct answer: 1. Feulgen

Explanation: Staining of Nucleoids:Nucleoids are stainable with the Feulgen stain, which is specific for DNA.Ref: Jawetz; 27th edition; Page no: 39